All of the following syndromes are associated with craniosynostosis EXCEPT?
1. Ape syndrome
2. Carpenter syndrome
3. Pfeiffer syndrome
4. Soto's syndrome

Correct answer: 4. Soto's syndrome

Explanation: Craniosynostosis -premature fusion of one or more cranial sutures Syndromes are associated with craniosynostosis:- Ape syndrome Crouzon syndrome Carpenter syndrome,& Pfeiffer syndrome. Soto's syndrome is also known as cerebral gigantism, and is associated with large head size.